Amsler sign?
1. Fuch heterochromatic iridocyclitis
2. Posner-schlossman syndrome
3. Uveal-effusion syndrome
4. None of the above

Correct answer: 1. Fuch heterochromatic iridocyclitis

Explanation: Ans. is `a' i.e., Fuch heterochromatic iridocyclitis During paracentesis in Fuch's heterochromic iridocyclitis, there is bleeding from neo-vasculorization.This is known as "Amsler's sign". Fuch's heterochromic iridocyclitis (Fush's uveitis syndrome) It is a form of anterior and intermediate uveitis. The condition is usually unilateral and chronic in nature and is characterized by a chronic non-granulomatous uveitis and eventually results in iris heterochromia (a change in the colour of iris) The disease has following characteristic features : Heterochromia of iris Diffuse stromal iris atrophy Fine KPs at back of cornea Faint aqueous flare Absence of posterior synechiae A fairly common rubeosis iridis, sometimes associated with neovascularisation of the angle of anterior chamber. Comparatively early development of complicated cataract and secondary glaucoma (usually open angle type). Glaucoma has been reported in 10-59% of cases. Treatment Fuch's heterchromic uveitis responds variable to steroids and cycloplegics. The complications of long term use of these drugs may at times outweigh their potential benefits. Therefore, treatment with topical steroids is given to iritis which is sufficiently active to require the treatment, otherwise the patient is routinely followed without giving any treatment. Cataract responds well to mostforms of intraocular surgeries, including the standard IOL implantation. Hyphernia may occur because of rubeosis iridis (neovascularization of iris). Glaucoma control may be somewhat more problematic, with surgical options indicated for later forms of disease.